Heart failure cells are?
1. polymorphonuclear cells
2. Steam cells
3. Macrophages
4. Fibroblasts

Correct answer: 3. Macrophages

Explanation: Breakdown of red cells and hemoglobin leads to the appearance of hemosiderin-laden alveolar macrophages-- so-called heart failure cells--that reflect previous episodes of pulmonary edema. (Robbins Basic Pathology,9th edition,pg no.367)